Which of the following is an ideal laparoscopic insufflation gas which could be used for most patients and procedures?
1. NO
2. N2O
3. CO2
4. AIR

Correct answer: 3. CO2

Explanation: CO2 is the gas which is ideally used for laparoscopy due to its ability to suppress combustion and due to its high solubility in water. The ideal laparoscopic insufflation gas should be readily available, relatively inexpensive, colorless, highly soluble in plasma, and soluble to use in most patients and procedures. Earlier air was used due to its colorless and odorless nature, but it was found to support combustion and had a potential for venous embolism because of its poor solubility in blood. N20 when used was found to have a risk of explosion hazard.